Anxiety is manifested by following, except:
1. Impaired concentration
2. Pupillary constriction
3. Insomnia
4. Worry

Correct answer: 2. Pupillary constriction

Explanation: Pupillary constriction